In preparing a primary molar for a stainless steel crown,
the surface requiring the least amount of reduction is
1. Occlusal
2. Lingual
3. Mesial
4. Facial

Correct answer: 2. Lingual